A 50 year old male chronic smoker complaints of hoarseness of voice for the past 4 months. Microlaryngoscopic biopsy shows it to be keratosis of the larynx. All are suggested treatment modalities for this condition, EXCEPT:
1. Stop smoking
2. Laser vaporizer
3. Partial laryngectomy
4. Stripping of vocal cord

Correct answer: 3. Partial laryngectomy

Explanation: Laryngeal keratosis is a precancerous condition. Treatment modalities includes avoidance of aetiological factors such as smoking, stripping of vocal cords and examination of tissues for malignancy and use of laser vaporization. The treatment of Keratosis of the larynx is conservative involving microsurgical excision. Partial laryngectomy may be used in the presence of certain T1 stage malignancy of Larynx.